Which of the following is not a tumor marker -
1. CEA
2. Tyrosinase
3. Human leucocyte antigen A2
4. AFP

Correct answer: 3. Human leucocyte antigen A2